All of the following are feature of dermatomyositis, Except:
1. Salmon Patch
2. Gottron's patch
3. Mechanic finger
4. Periungual telengiectasias

Correct answer: 1. Salmon Patch

Explanation: Answer is A (Salmon Patch): Salmon patch is not a feature of dermatomyositis. Cutaneous features of dermatomvositis Cutaneous feature Description Heliotrope Rashdeg Periocular or facial erythema and edema with pink/purple /blue (heliotrope) hue (blue purple discoloration on upper evert lids with edema) Gottren's PapulesQ (Gottren's sign) Violaceous papules over the knuckles Erythema of the knuckles with a raised violaceous scaly eruption Ervthematous rash over other body surfaces such as anterior chest (often in a V form) `V' sign Shawl sign Erythematous rash over other body surfaces including the upper trunk, neck, back & shoulders (shawl pattern) Periungual Telengiectasiase Dilated capillary loops at the base offingernails Mechanic's handsQ Irregular, thickened, distorted cuticles, with rough and cracked areas over the lateral and palmar areas offingers with irregular dirty horizontal lines resembling mechanic 's hand. Calcinosis Cutise Presence of hard calcium deposits in the skin